A butcher, who is fond of eating raw hamburger, develops chorioretinitis; a Sabin-Feldman dye test is positive. This patient is most likely infected with
1. Trichinosis
2. Schistosomiasis
3. Toxoplasmosis
4. Visceral larva migrans

Correct answer: 3. Toxoplasmosis

Explanation: Toxoplasmosis, for example, is generally a mild, self-limiting disease; however, severe fetal disease is possible if pregnant women ingest Toxoplasma oocysts. Consumption of uncooked meat may result in either an acute toxoplasmosis or a chronic toxoplasmosis that is associated with serious eye disease. Most adults have antibody titers to Toxoplasma and thus would have a positive Sabin-Feldman dye test.